External maxillary artery is a branch of:
1. Internal carotid artery
2. External carotid artery
3. Second part of trigeminal artery
4. Facial artery

Correct answer: 2. External carotid artery